All are cultivable virus Except -
1. Rotavirus
2. Enterovirus
3. ECHO virus
4. Coxsackie virus

Correct answer: 1. Rotavirus

Explanation: Human rotavirus does not grow readily in cell cultures but some strains have been adapted for serial growth in tissue cultures. REF:ANANTHANARAYAN AND PANIKER'S TEXTBOOK OF MICROBIOLOGY 9TH EDITION PAGE NO:561